Denominator of MMR if MMR is expressed as 167 is:-
1. Per 100000 live births
2. Per 1000 total birth
3. Per 10000 total birth
4. Total number of women of reproductive age group in the population

Correct answer: 1. Per 100000 live births

Explanation: Ans. is 'a' i.e. 1000 live births It's a ratio: Denominator is Per 100000 live births. It will be rate : if the denominator is reproductive women. But still some books write it as rate. But in Park it's clearly differentiated. The data we express MMR as 167 is a ratio.